Drug of choice in laryngeal stenosis is
1. Cyclophosphamide
2. Doxorubicin
3. Adriamycin
4. Mitomycin C

Correct answer: 4. Mitomycin C

Explanation: Mitomycin-C is an antineoplastic antibiotic that acts as an alkylating agent by inhibiting DNA and protein synthesis. ... Topical application of mitomycin C(0.4 mg/mL) was used as an adjuvant treatment in the endoscopic laser management of laryngeal and tracheal stenosis Ref: Internet sources